Power of cornea is-
1. 30 D
2. 44 D
3. 55 D
4. 60 D

Correct answer: 2. 44 D

Explanation: Ans. is 'b' i.e., 44 D "Out of + 60 D (total diopter power of eye), + 44 D is provided by the cornea."